Vaccine carrier contains how many ice packs
1. 2
2. 3
3. 4
4. 5

Correct answer: 3. 4

Explanation: Vaccine carriers are used to carry small quantities of vaccines (16 - 20) vials for the out reach sessions ,with four fully frozen ice packs for lining the sides. Ref: p.119 25th edition Park's Textbook of Preventive and Social Medicine